A histologic evidence of widespread formation of globular hypocaLcified dentin and puLp horns reaching the dentinoenamel junction, absence of lamina dura around the tooth in radiograph are the characteristic features of
1. Vitamin-D resistant rickets
2. Hypophosphatasia
3. Hypervitaminosis-A
4. Vitamin-A deficiency

Correct answer: 1. Vitamin-D resistant rickets